Waters view is best used for visualization of:
1. Frontal sinus
2. Maxillary sinus
3. Ethmoid sinus
4. Sphenoid sinus

Correct answer: 2. Maxillary sinus

Explanation: Ref. Textbook of Ear, Nose and Throat Diseases Pg 155
 

Law’s view (15º lateral oblique): Sagittal plane of the skull is parallel to the film and X-ray beam is projected 15 degrees cephalocaudal
Water view – Best to visualize maxillary sinus
The Caldwell view is a caudally angled PA radiograph of the skull, designed to better visualise the paranasal sinuses, especially the frontal sinus
Schuller’s or Rugnstrom view (30º lateral oblique): Similar to Law’s view but cephalocaudal beam makes an angle of 30 degrees instead of 15 degrees